Serious complication of prolonged sitting posture
1. Dysanythmia
2. Hypotension
3. Nerve paralysis
4. Venous embolism

Correct answer: 4. Venous embolism

Explanation: There is mounting evidence that prolonged cramped sitting in connection with long lasting air travel increases risk to DVT of the leg which prolongs to pulmonary embolism Ref:Guyton and Hall textbook of medical physiology 12th edition,page number:236,237